Which of the following is the "Least common" complication of measles-
1. Diarrhoea
2. Pneumonia
3. Otitis media
4. SSPE

Correct answer: 4. SSPE

Explanation: measles complications:- Most common complications are 1. Measles associated diarrhoea. 2. Pneumonia 3. Otitis media 4. Respiratory complications Pneumonia is the most life threatening complication. Pulmonary complications account for more than 90% of deaths due to measles. Neurological complications:- 1. Febrile convulsions 2. SSPE (subacute sclerosing pan encephalitis). This is a rare complication occuring after many years after measles infection. It is characterised by mental deterioration, paralysis, involuntary movements, muscle rigidity and coma. 3. Encephalitis Measles during pregnancy causes congenital anomalies in children. {Reference: park's textbook of preventive and social medicine, 23rd edition, pg no.148}